A baby presenting with multiple deformities, cleft lip, cleft palate, microcephaly, small eyes, scalp defect and polydactyly, seen in which syndrome-
1. Trisomy 13
2. Trisomy 18
3. Trisomy 21
4. Monosomy 2

Correct answer: 1. Trisomy 13

Explanation: Ans. is 'a' i.e., Trisomy 13